Paget's disease of the nipple is:
1. Infection
2. Dermatitis
3. Neoplasia
4. Hypopigmentation

Correct answer: 3. Neoplasia

Explanation: Ans. C i.e. Neoplasia Paget's disease of the breast/ Paget's disease of the nipple is a malignant condition that outwardly may have the appearance of eczema, with skin changes involving the nipple of the breast.